Pyruvate dehydrogenase complex has all enzyme components except
1. Decarboxylase
2. Transacetylase
3. Dehydrogenase
4. Phosphatase

Correct answer: 4. Phosphatase

Explanation: PDH complex is made up of three enzymes and requires five coenzymes. The enzymes are : (1) E1 : Pyruvate dehydrogenase or pyruvate decarboxylase, (ii) E2 : dihydrolipoyl transacetylase, and (iii) E3 dihydrolipoyl dehydrogenase. The coenzyme required are thiamine pyrophosphate (APP), lipoic acid, FAD, NAB, and CoA.